Bacteria showing antigenic variation -
1. Yersinia
2. Bordetella
3. Brucella
4. Borrelia

Correct answer: 4. Borrelia

Explanation: Bacteria showing antigenic variation are :-

Neisseria (Meningococci, Gonococci)
Streptococcus spp
Mycoplasma
Borrelia burgdorferi